Antigenic variation is/are seen in-a) Treponema pallidumb) Neisseriac) Corynebacteriumd) Borrelia recurrentis
1. bd
2. d
3. ab
4. ac

Correct answer: 1. bd